Tall T wave in E.C.G occurs in-
1. Hyperkalemia
2. Hypokalemia
3. Hypercalcemia
4. Hypocalcemia

Correct answer: 1. Hyperkalemia

Explanation: Ans. is 'a' i.e., Hyperkalemia Tall T wave in E.C.G :o Tall T wave may be seen in a variety of settings.# Classical peaked or utented and fair narrow based T waves are usually the result of hyperkalemia :-# While no frequently used criteria have been validated they may be generally > 10mm in height as measured in the precordial leads and > 5mm in height in the limb leads.In addition to hyperkalemia, prominent T waves may be seen in :-o Early phases of an acute myocardial infarction.o Myocardial ischemia,o Left ventricidar hypertrophy.o Left bundle branch block:Prominent U waveso U waves are positive deflections that are generally seen in leads Vr V4o Abnormalities of the U waves may be seen in the following.Hypokalemiao A prominent U wave may be indicative of hypokalemia.Other conditions that may increase the amplitude of the U waveo Bradycardiao Antiarrythmic drugs (class IA and 111)o Intracranial hemorrhageo Certain forms of congenital long QT syndrome.Short OTintervalo Hypercalcemiao Hyperkalemiao Digitalis useProlonged QT intervalCongenital long QT syndrome.DrugsAntiarryhthmic drugs.class IA and 3Phenothiazines.Tricyclic antidepressantso Hypothermia\o Cerebrovascular diseaseo Ischemic heart diseaseo Bundle branch block.